Decreased effect of warfarin is seen in case of :
1. Nephrotic syndrome
2. Acute intake of alcohol
3. Concurrent treatment with phenylbutazone
4. Congestive heart failure

Correct answer: 1. Nephrotic syndrome